An 8-year-male progressive swelling upper end tibia - irregular, local temperature raised, variable consistency and ill defined margins:
1. Giant cell tumor
2. Ewing's sarcoma
3. Osteogenic sarcoma
4. Secondary metastasis

Correct answer: 3. Osteogenic sarcoma

Explanation: (c) Osteogenic sarcoma- The clinical presentation in question can occur both in Ewing's sarcoma and osteosarcoma.- History of trivial trauma- Progressive swelling- Raised local temperature- Variable consistency- Ill defined margins.- However, swelling is around the knee joint at upper end of tibia, which favors the diagnosis of osteosarcoma (metaphyseal lesion).- Ewing's sarcoma usually occurs in the diaphysis of the bone (middle of the shaft).